Plasma cells are derived from:
1. T cells
2. B cells
3. Macrophages
4. Neutrophils

Correct answer: 2. B cells

Explanation: Ans. is 'b' i.e., B cells(Ref: Robbin's 7th/e, p. 198, 199; Ananthanarayan, 9th/e, p. 136)* An antigen interacts with the B lymphocyte that shows the best "fit" by virtue of its immunoglobulin surface receptor. When antigen binds to this BCR, the B cell is stimulated to divide and form a clone (clonal selection). Such selected B cells proliferate and differentiate to become plasma cells that secrete antibody.